Hoarseness of voice is earliest seen in -
1. Pharyngeal carcinoma
2. Supraglottic cancer
3. Glottic cancer
4. Subglottic cancer

Correct answer: 3. Glottic cancer

Explanation: Ans. is 'c' i.e., Glottic cancer * Hoarseness of voice is the presenting feature of glottic cancer & occurs early because even the slightest of the lesion of cord affects its vibratory capacity causing hoarseness.* This is the reason why glottic cancers are detected early.SiteVoice* Supraglottic cancer-Muffled/Hot potato voice* Glottic cancer-Hoarseness early* Subglottic cancer-Hoarseness very late.